A 37 weeks pregnant woman attends an antenatal clinic at a Primary Health Centre. She has not had any antenatal visit till now. The best approach regarding tetanus immunization in this case would be to-
1. Give a dose of Tetanus Toxoid (TT) and explain to her that it will not protect the new born and she should take the second dose after four weeks even if she delivers in the meantime
2. Don not waste the TT vaccine as it would anyhow be of no use in this pregnancy Give one dose of TT and explain that it will not be useful for this pregnancy
3. Give her anti-tetanus Immunoglobulin along with the TT vaccine
4. All

Correct answer: 1. Give a dose of Tetanus Toxoid (TT) and explain to her that it will not protect the new born and she should take the second dose after four weeks even if she delivers in the meantime

Explanation: Ans. is 'a' i.e., Give a dose of Tetanus Toxoid (TT) and explain to her that it will not protect the new born and she should take the second dose after four weeks even if she delivers in the meantime Guidelines on TT in pregnancy: Primigravida: 2 doses 1 month apart, after I trimester Duration of Protection with 2 doses : All subsequent pregnancies in next 5 years. Multigravida (completely immunized in last 5 years): 1 booster dose is sufficient Multigravida (partially immunized in previous pregnancy in last 5 years): 2 doses, 1 month apart, after I trimester. Multigravida (unimmunized in previous pregnancy in last 5 years): 2 doses, I month apart, after I trimester Multigravida (completely immunized in previous pregnancy earlier than 5 years): 2 doses, I month apart, after I trimester. Rule for Delayed immunization of TT in pregnancy (as per Period of gestation -- POG): Give 2 doses of TT, 1 month apart, anytime after 1st trimester, of pregnancy, Irrespective of time of delivery (so as to provide protection for atleast next 5 years).